Which of the following route of approach is used in the treatment of thoracic extension of cervical goiter?
1. Neck
2. Chest
3. Combined cervico-thoracic route
4. Thoracoscopic

Correct answer: 1. Neck

Explanation: In retrosternal goiter, resection of the goiter is carried out from the neck, a median sternotomy is sometimes needed. Cervical part of the goiter is be mobilized first and retrosternal goiter is delivered by traction. Recurrent laryngeal nerve should be identified before delivering retrosternal goiter. Ref: Bailey and Love's Short Practice of Surgery, 24th Edition, Page 788-9.